Increased levels of which of the following in amniotic fluid is an indicator of neural tube defect in the fetus :
1. Acetylcholinesterase
2. Butyrylcholinesterase
3. Pseudocholinesterase
4. Phosphatidyl esterase

Correct answer: 1. Acetylcholinesterase

Explanation: Acetylcholine esterase: (AChE) Amniotic fluid AChE level is elevated in most cases of open neural tube defects. It has got better diagnostic value than AFP. Reference: D C Dutta's Textbook of Obstetrics 7th edition page no 113